Commonest cause of acute Otitis media in children is:
1. H. influenzae
2. Streptococcus pneumoniae
3. Staph. aureus
4. Pseudomonas

Correct answer: 2. Streptococcus pneumoniae

Explanation: (b) Streptococcus pneumoniae(Ref. Scott Brown, 8th ed., Vol 2; 139)Irrespective of the age of the patient suffering from AOM, the MC organism is Streptococcus pneumoniae followed by Haemophilus influenzae.In the ear Pseudomonas causes perichondritis, diffuse Otitis externa and malignant Otitis externa and it is also the main organism in unsafe CSOM.